All of the following agents are used in obesity EXCEPT :
1. Orlistat
2. Sibutramine
3. Olestra
4. Neuropeptide Y analogues

Correct answer: 4. Neuropeptide Y analogues

Explanation: Drugs used for the treatment of obesity are:

Fenfluramine
Sibutramine (serotonin and NA reuptake inhibitor)
Sucrose polyester (olestra)
β3 agonists
Dexfenfluramine
Orlistat (a Pancreatic lipase inhibitor)
Neuropeptide Y antagonists